RBC Lifespan in preterm babies:
1. < 40 days
2. 40-60 days
3. 75-90 days
4. 100-120 days

Correct answer: 2. 40-60 days

Explanation: LIFE SPAN OF RBC: - Pre term neonates - 40-60 days - Term neonates - 90 days - Older children/ Adults - 120 days